Post traumatic stress syndrome is due to :
1. Head injury
2. CVD
3. Minor stress
4. Major life threatening events

Correct answer: 4. Major life threatening events

Explanation: Post - traumatic stress disorder occurs after on extreme traumatic events involving the threat of personal death or injury.